Teardrop fracture of lower cervical spine implies -
1. Wedge compression fracture
2. Axial compression fractures
3. Flexion-rotation injury with failure of anterior body
4. Flexion compression failure of body

Correct answer: 4. Flexion compression failure of body

Explanation: Tear drop fracture is caused by combined axial compression and flexion injury.